Adeno lymphoma refers to
1. Adeno carcinoma
2. Adeno cystic lymphoma
3. Warthin's tumour
4. Pleomorphic adenoma

Correct answer: 3. Warthin's tumour